Mottled enamel is due to:
1. Vitamin A deficiency
2. Excess of fluoride
3. Vitamin D deficiency
4. Teratogens

Correct answer: 2. Excess of fluoride